What is the transport maximum for glucose?
1. 175 mg/min
2. 275 mg/min
3. 375 mg/min
4. 475 mg/min

Correct answer: 3. 375 mg/min

Explanation: Glucose, amino acids, and bicarbonate are reabsorbed along with Na+ in the early portion of the proximal tubule. Farther along the tubule, Na+ is reabsorbed with Cl-. Glucose is typical of substances removed from the urine by secondary active transport. It is filtered at a rate of approximately 100 mg/min (80 mg/dL of plasma x 125 mL/min). Essentially all of the glucose is reabsorbed, and no more than a few milligrams appear in the urine per 24 h. The amount reabsorbed is proportional to the amount filtered and hence to the plasma glucose level (PG) times the GFR up to the transport maximum (TmG). When the TmG is exceeded, the amount of glucose in the urine rises. The TmG is about 375 mg/min in men and 300 mg/min in women. Ref: Ganong's Review of Medical Physiology 23rd edition, Chapter 38.